In aortic dissection blood enters in -
1. Intima
2. Media
3. Adventitia
4. Any of the above layer

Correct answer: 2. Media

Explanation: Ans. is `b' i.e., MediaAortic dissection o Aortic dissection is a catastrophic illness characterized by dissection of blood between and along the laminar planes of aortic media.o Blood enters inside the arterial wall (in the media layer) and leads to formation of blood filled channels within the aortic wall, which often ruptures outward causing massive hemmorrhage.o The most frequent preexisting histologically detectable lesion is cystic medial degeneration.o In aortic dissection, there is an intimial tear through which the blood enters into the media.o Usually, the tear is within 10 Cms of aortic valve.o The dissecting hematoma spreads characteristically along the laminar planes of the aorta, usually between the middle and outer third.Some times, blood reruptures into the lumen distally, i.e. there is a second tear distally. So that a complete new vascular channel is formed inside the media of aortic wall --> Blood enters from proximal tear into the media and comes out into the lumen from distal tear.o This is called double - barrel aorta with a false-channel in the media.Later on this false channel becomes endothelized --> chronic dissection.